A newborn baby was born with phocomelia. It results due to which drug taken by mother during pregnancy?
1. Tetracycline
2. Thalidomide
3. Warfarin
4. Alcohol

Correct answer: 2. Thalidomide

Explanation: Thalidomide disaster (1958-61) resulting in thousands of babies born with phocomelia (seal-like limbs) and other defects focused attention to this type of adverse effect. Tetracyclines cause discolored and deformed teeth, retarded bone growth in children Warfarin causes depressed nose; eye and hand defects, growth retardation in childrenAlcohol causes low IQ baby, growth retardation, fetal alcohol syndrome in children Ref; KD Tripathi pharmacology 7 th editon (page no; 89)